Which of these hormones activate catalytic receptors?
1. GH
2. IGF1
3. Leptin
4. All of these

Correct answer: 4. All of these

Explanation: Catalytic receptors are those receptors that directly act as enzymes when the hormone binds to them. E.g. tyrosine kinase receptors Hormones That Use Receptor Tyrosine Kinase Signaling Growth hormone Insulin Leptin Prolactin Growth factors